Which of the following is the most troublesome source of bleeding during a radical retropubic prostatectomy.
1. Dorsal venous complex
2. Inferior vesical pedicle
3. Superior vesical pedicle
4. Seminal vesicular artery

Correct answer: 1. Dorsal venous complex

Explanation: Radical retropubic prostatectomy is performed for Ca Prostate. Haemorrhage is the most common intraoperative complication and the most commonly injured vessel is Dorsal venous complex. Ref : Cambell's Urology 8/e p3126